Fincham's test differentiates cataract from
1. Conjunctivitis
2. Iridocyclitis
3. Open angle Glaucoma
4. Ac. Congestive Glaucoma

Correct answer: 4. Ac. Congestive Glaucoma

Explanation: D i.e. Acute congestive glaucoma